Excessive sexual desires  in females is known as
1. Nymphomania
2. Satyriasis
3. Fetishism
4. Frigidity

Correct answer: 1. Nymphomania

Explanation: Excessive sexual desires in Male's - Satyriasis.
Excessive sexual desires in Female's - Nymphomania.